Wagner's granulomatosis does not affect?
1. Liver
2. Lung
3. Kidney
4. Eye

Correct answer: 1. Liver

Explanation: Liver REF: Harrison's Principles of Internal Medicine 17th ed chapter 319 MANIFESTATION OF WAGNER'S GRANULOMATOSIS: Kidney: Glomerulonephritis Ear/nose/throat: Sinusitis Nasal disease Otitis media Hearing loss Subglottic stenosis Ear pain Oral lesions Lung: Pulmonary infiltrates Pulmonary nodules Hemoptysis Pleuritis Eyes: Conjunctivitis Dacryocystitis Scleritis Proptosis Eye pain Visual loss Retinal lesions Corneal lesions Iritis Others: Arthralgias/arthritis Fever Cough Skin abnormalitie Weight loss (>10% body weight) Peripheral neuropathy Central nervous system disease Pericarditis Hyperthyroidism